Severity of mitral stenosis is determined by:
1. Intensity of S1 heart sound
2. Diastolic murmur duration
3. Opening snap
4. Intensity of diastolic murmur

Correct answer: 2. Diastolic murmur duration

Explanation: Ans. B: Diastolic murmur duration Mitral Stenosis Severity assessment on auscultation - Time interval between A2 and opening snap is inversely proportional to the severity of MS. - Duration (of low pitched, rumbling, diatolic murmur, heard at the apex) of murmur correlates with the severity of stenosis in patients with preserved CO. Echocardiography: Mitral Stenosis Severity Scales - Pressure half-time Normal : 30 to 60 milliseconds Abnormal : 90 to 400 ms Gray area : 60 to 90 ms Mild MS : 90 to 150 ms Moderate MS : 150 to 219 ms Severe MS : > 220 ms Mitral valve area Normal : 4 to 6 cm2 Mild MS : 1.5 to 2.5 cm2 Moderate MS : 1.0 to 1.5 cm2 Severe MS : End-diastolic pressure gradient Normal : 0 to 2 mm Hg Mild MS : 2 to 6mmHg Moderate MS : 6 to 10 mm Hg Severe MS : >10 mm Hg Mean pressure gradient Mild MS : < 5 mmHg Moderate MS : 6 to 12 mm Hg Severe MS : > 12 mm Hg